In Chevallet fracture of nasal septum the mechanism of trauma is:
1. Blow from above
2. Blow from below
3. Blow directly from front
4. Any of the above

Correct answer: 2. Blow from below

Explanation: (b) Blow from below(Ref. Scott Brown, 8th ed., Vol 3; 1127)Blow directly from front will cause Jarjavay fracture.Blow from side may depress only one nasal bone. Side force can cause severe septal displacement, which can twist or buckle the nose.